M/c tumour of the ovary -
1. Dermoid
2. Serous epithelial tumor
3. Mucinous
4. metastatic

Correct answer: 2. Serous epithelial tumor

Explanation: Ans. is 'b' i.e., Serous epithelial tumorso Most common ovarian tumors is a serous epithelial ovarian tumoro Serous histology accounts for as many as 75% ovarian cancers.CANCER of ovaryClassification of Ovarian CancerOvarian CancerHistogenesisFrequency (%)TypesAge GroupEpithelialCoelomic epithelium85 - 90Serous, mucinous endometrioid, clear cell, Brenner undifferentiatedPeri/postmenopausal (45 + years)Sex cord stromalGonadal stromal5-7Granulosa cell tumor, Sertoli-Leydig tumorReproductive (20 - 40 years)Germ cell tumorsPrimitive germ cells6-7Dysgerminoma, endodermal sinus tumor, embryonal, teratoma, chorio CAPrepubertal-pubertal (15-20 years)OthersMetastatic Krukenberg Types of Epithelial ovarian tumouro Serouso Mucinouso Endometrioido Clear cello Transitional cello Squamous cello Mixed epithelialo Undifferentiatedo Unclassified